Ataxia abasia is seen in
1. Conversion disorder
2. PTSD
3. Depression
4. Mania

Correct answer: 1. Conversion disorder

Explanation: Conversion Disorder Conversion disorder is characterised by the following clinical features: 1. Presence of symptoms or deficits affecting motor or sensory function, suggesting a medical or neurological disorder. 2. Sudden onset. 3. Development of symptoms usually in the presence of a significant psychosocial stressor(s). 4. A clear temporal relationship between stressor and development or exacerbation of symptoms. 5. The patient does not intentionally produce the symptoms. 6. There is usually a ' secondary gain' (though not required by ICD-10 for diagnosis). 7. Detailed physical examination and investigations do not reveal any abnormality that can explain the symptoms adequately. 8. The symptom may have a 'symbolic' relationship with the stressor/conflict. Dissociative Motor Disorders: The motor disturbance usually involves either paralysis or abnormal movements. The 'paralysis' may be a monoplegia, paraplegia or quadriplegia. The abnormal movements can range from tremors, choreiform movements and gait disturbances, to convulsive movements. These movements either occur or increase when attention is directed towards them and may disappear when the patient is watched unobserved. These movements do not fit the 'typical' clinical picture of the abnormal involuntary movement disorders. The gait disturbance (ataxia abasia) is usually characterised by a wide-based, jerky, staggering, dramatic and irregular gait with exaggerated body movements. Ref: A Short Textbook of Psychiatry, Niraj Ahuja, 7th Edition, pg. no. 99